Priscilla White classification is used in :--
1. Gestational hypertension
2. Cardiac disorders in pregnancy
3. Gestational diabetes mellitus
4. Thyroid disorders of pregnancy

Correct answer: 3. Gestational diabetes mellitus

Explanation: Lady Priscilla White pioneered research into diabetic woman during pregnancy.The classification is based on age at onset of diabetes, duration of disease and the presence of atherosclerotic vascular disease and renal complications.